Bleeding in rupture of the uterus associated with a large broad ligament hematoma is controlled most simply by :
1. Suture of laceration
2. Ligation of hypogastric artery
3. Ligation of common iliac artery
4. Ligation of uterine artery

Correct answer: 2. Ligation of hypogastric artery

Explanation: Ligation of hypogastric artery